Treatment of choice of meningococcal infection is
1. Tetracycline
2. Clindamycin
3. Gentamycin
4. Cephalosporin

Correct answer: 4. Cephalosporin

Explanation: Sulphonamides are once used for the treatment of Meningococcal meningitis used, not used now due to widespread resistance Intravenous Penicillin G is the treatment of choice. Chloramphenicol is effective. One of the Third generation cephalosporins ( ceftriaxone, ceftazidime) is also used to free the nasopharynx initiation of treatment before the cause of meningitis is is known. After the initial course, eradicative therapy is to be given with rifampicin or ciprofloxacin to free the nasopharynx of the cocci and prevent the carrier state. Reference: Textbook of Microbiology; Anathanarayan and panicker's; 10th edition; Page no: 233